The intensity of colour in Doppler is determined by-
1. Direction flow
2. Velocity of flow
3. Strength of returning echo
4. None of the above

Correct answer: 2. Velocity of flow

Explanation: The intensity of colour in Doppler is determined by magnitude of the Doppler shift The magnitude of the Doppler shift is proportionate to the blood flow velocity and the Doppler angle Ref : Introduction to Vascular Ultrasonography 6th Edition Pg : 63